Doxycycline is used in the treatment of the following diseases?
1. Leptospirosis
2. Q fever
3. Borreliosis
4. All of the above

Correct answer: 4. All of the above